Treatment of choice for the Hepatorenal syndrome is?
1. ACE inliibitors
2. Liver transplant
3. Peritoneal dialysis
4. Calcium channel blockers

Correct answer: 2. Liver transplant

Explanation: Treatment consists of albumin infusions in combinations with terlipressin and is effective in about 2/ 3 rd of patients. Patients who survive should be considered for liver transplantation.